Menstruation is defined as precocious if it starts before the child reaches the age of:
1. 8 years
2. 10 years
3. 14 years
4. 20 years

Correct answer: 2. 10 years

Explanation: Precocious puberty is the appearance of appropriate secondary sexual characters before the age of 8 years and occurrence of menstruation before 10 years of chronological age.
Also know : Delayed puberty : is considered delayed when the secondary sexual characters do not appear by the age of 14, and menarche is not established by 16 years of age.